Which of the following is not a feature of rhinosporidiosis -
1. Bleeding polyp
2. Russell bodies are seen
3. Oral dapsone is useful in treatment
4. Excision with the knife is the treatment

Correct answer: 2. Russell bodies are seen

Explanation: Because the polyps are vascular and friable, they bleed easily upon manipulation.
Complete excision of mass is done with diathermy knife and cauterization of base.
Dapsone is being tried for treating rhinosporidiosis but with limited success.
Russell bodies are not seen in Rhinosporidiosis but are a diagnostic feature of Rhinoscleroma.